Radiotherapy associated caries is due to irradiation of which part most probably?
1. Tongue
2. Maxillary sinus
3. Parotid gland
4. Lower jaw

Correct answer: 3. Parotid gland